True about Y. Pestis -a) Gram +veb) Gram -vec) Motiled) Non-motilee) It is coccobacilli
1. abc
2. ade
3. bde
4. bce

Correct answer: 3. bde